Pediatric airway differs from adult by
1. Large tongue
2. Short epiglottis
3. Narrowest part is glottis
4. Larynx in lower position

Correct answer: 1. Large tongue

Explanation: Airway: Pediatric Obligate nasal breatherLarge tongueLarynx & trachea are funnel-shapedThe narrowest part is cricoid (glottis in adults)(Refer: Nelson's Textbook of Pediatrics, SAE, 1st edition, pg no. 2036 - 2037)